All of the following are composite muscles, except:
1. Flexor carpi Ulnaris
2. Flexor digitorum Profundus
3. Pectineus
4. Biceps Femoris

Correct answer: 1. Flexor carpi Ulnaris

Explanation: A i.e. Flexor carpi Ulnaris